Macrodontia is associated with
1. Acromegaly
2. Pituitary gigantism
3. Hypoparathyroidisrn
4. Hyperthyroidism

Correct answer: 2. Pituitary gigantism